Function of primary dentition is/are:
1. Formation of clear speech and chewing.
2. Provide lip support, cheek support and smile.
3. Development and alveolar bone and provide space for secondary dentition.
4. All of the above.

Correct answer: 4. All of the above.